Schistocytes in peripheral smear is seen in all except:
1. DIC
2. Sickle cell anemia
3. TTP
4. HUS

Correct answer: 2. Sickle cell anemia

Explanation: Irregular fragmented red cells appearing as helmet shaped or triangular. Schistocytes are seen in all conditions having Micro or Macro angiopathic hemolytic anemia. Macroangiopathic Hemolytic anemia - Prosthetic cardiac valve transplantation. Sickle cell disease is inherited disease associated with sickled RBCs